Treatment of deep transverse arrest is
1. LSCS
2. Induction of labour
3. Trial of labour
4. Craniotomy

Correct answer: 1. LSCS

Explanation: Ans. a (LSCS). (Ref. Williams, Obstetrics, 21st ed., 301)Deep transverse arrest (DTA)# Occipitotransverse (OT) head position frequently results in a deep transverse arrest and resultant cephalopelvic disproportion.# DTA occurs in the second stage of labor where the fetus maintains an OT position at a low pelvic station.# In most cases, this requires rotation of the fetal head to OA or OP to allow vaginal delivery, but occasionally, patients with a platypelloid pelvis will spontaneously deliver a baby with a transverse head.# The options open to the modem obstetrician faced with a deep transverse arrest in an OT position include:- Digital or manual rotation- Rotation with traction using a vacuum extractor- Rotation with forceps- Cesarean section# Unless the operator has had sufficient training and experience with rotational delivery using forceps, cesarean section is frequently the most prudent choice.